Incidence is:
1. That portion of population affected by a disease or other condition at a given time
2. Incidence is greater than prevalence
3. No. of new cases of a specific disease within a defined population over a period of time
4. None of the above

Correct answer: 3. No. of new cases of a specific disease within a defined population over a period of time